An albino girl gets married to a normal boy, What are the chances of their having an affected child and what are the chances of their children being carriers?
1. None affected, all carriers
2. All normal
3. 50% carriers
4. 50% affected, 50% carriers

Correct answer: 1. None affected, all carriers

Explanation: Albinism is an autosomal recessive disorder. All children inherit only one defective allele from the mother resulting in the carrier state.Ref: Harrison's 18/e p601, 3215